100 % cure rate for carcinoma cervix is seen in :
1. Invasive carcinoma
2. In situ carcinoma
3. Micro invasive carcinoma
4. Extensive carcinoma

Correct answer: 2. In situ carcinoma

Explanation: In situ carcinoma